All of the following murmurs may be heard in patients with aortic regurgitation except:
1. High-pitched decrescendo diastolic murmur.
2. Soft, low pitched mid distolic rumbling murmur.
3. Mid-systolic ejection flow murmur
4. Pansystolic murmur

Correct answer: 4. Pansystolic murmur

Explanation: Answer is D (Pansystolic murmur)